Movement of denture base was the least in patient with poor ridges, when
1. 20 degree teeth were used
2. 33 degree teeth were used
3. 0 degree teeth were used
4. Inverted cusp teeth were used

Correct answer: 3. 0 degree teeth were used